Human development index includes all of the following, except:
1. Adult literacy rate
2. Life expectancy at birth
3. Income
4. Infant mortality rate

Correct answer: 4. Infant mortality rate

Explanation: Infant mortality rate